Secondary healing mechanism is?
1. Granuloma formation
2. Scab formation
3. Granulation tissue
4. Neovascularization

Correct answer: 3. Granulation tissue

Explanation: 2deg healing involves recruitment of macrophages, fibroblasts & new blood vessels. COLLECTIVELY K/A - GRANULATION TISSUE Other options:- A - granuloma formation is seen in any condition associated with CHRONIC INFLAMMATION e.g. TB B - scab formation is non - specific used for drying up of secretions after injury D - neo-vascularization is one of the components of granulation tissue